Which of the following is not supplied by the anterior division of mandibular nerve (V3)?
1. Temporalis
2. Masseter
3. Lateral pterygoid
4. Medial pterygoid

Correct answer: 4. Medial pterygoid

Explanation: MANDIBULAR NERVE DIVISION: TRUNK- 1.Meningeal 2.Nerve to medial pterygoid supplies; tensor veli palatini,tensor tympani,medial pterygoid ANTERIOR DIVISION- 1.Deep temporal 2.Lateral pterygoid 3.Masseteric 4.Buccal; skin of cheek POSTERIOR DIVISION- 1.Auriculotemporal:auricular,superficial temporal,articular to TMJ,secretomotor to parotid gland 2.Lingual; general sensation from anterior two-thirds of tongue 3.Inferior alveolar; lower teeth, mental for skin of chin and nerve to mylohyoid Ref BDC volume 3,sixth edition pg 369